Accessory lacrimal glands of Krause are present in the:
1. Upper fornix
2. Lower fornix
3. Both of the above
4. None of the above

Correct answer: 3. Both of the above

Explanation: Ans. Both of the above